All of the following statements about androgen insensitivity syndrome are true except
1. It is an X linked disorder
2. XY genotype is present
3. Affected individual has female phenotype
4. Abundant pubic hair are present

Correct answer: 4. Abundant pubic hair are present

Explanation: Androgen insensitivity syndrome (AIS) is an intersex condition that results in the partial or complete inability of the cell to respond to androgens.The unresponsiveness of the cell to the presence of androgenic hormones can impair or prevent the masculinization of male genitalia in the developing fetus, as well as the development of male secondary sexual characteristics at puberty, but does not significantly impair female genital or sexual development.As such, the insensitivity to androgens is clinically significant only when it occurs in genetic males (i.e. individuals with a Y-chromosome, or more specifically, an SRY gene).Clinical phenotypes in these individuals range from a typical male habitus with mild spermatogenic defect or reduced secondary terminal hair, to a full female habitus, despite the presence of a Y-chromosome. Ref Robbins 9/e pg 1751